Which of the following tracts does not carry proprioceptive impulses?
1. Olivo cerebellar tract
2. Tecto cerebellar tract
3. Spino cerebellar tract
4. Cuneo cerebellar tract

Correct answer: 2. Tecto cerebellar tract

Explanation: Ref: Pal GK. Cerebellum. In: Textbook of Medical Physiology. Ahuja Publishing House. 2007; 116: 874.Explanation:Afferent Tracts(to cerebellum)TransmitsVestibulocerebellarVestibular impulses from labyrinths, direct and via vestibular nucleiDorsalspinocerebellarProprioceptive and exteroceptive impulses from bodyVentralspinocerebellarProprioceptive and exteroceptive impulses from bodyCuneocerebellarProprioceptive impulses, especially from head and neckTectocerebellarAuditory and visual impulses via inferior and superior colliculiPontocerebellarImpulses from motor and other parts of cerebral cortex via ponbne nucleiOlivocerebellarProprioceptive input from whole body via relay in inferior olive